A child is born with bilious vomiting and failure to thrive. Which of the following is true about this condition
1. Treatment is ramsted's surgery
2. Associated with downs syndrome
3. Olive shaped mass is present
4. Red currant jelly stools

Correct answer: 2. Associated with downs syndrome

Explanation: Case of duodenal atresia. It is associated with down syndrome.
Red currant jelly stools are seen in intussusception.